Tachycardia due to nitrates in a patient with angina pectoris is blocked by-
1. Digoxin
2. Dobutamine
3. Beta blocker
4. Calcium channel blocker

Correct answer: 3. Beta blocker

Explanation: Ans. is 'c' i.e., Beta blocker o Use of beta blocker and long acting nitrate combination is rational in classical angina because:Tachycardia due to nitrate is blocked by beta blockerThe tendency of beta blocker to cause ventricular dilatation is countered by nitrateThe tendency of beta blocker to reduce the total coronary flow is opposed by nitrate